a peptide that causes increased capillary permeability and edema is
1. Histamine
2. Angiotensin 11
3. Bradykinin
4. Renin

Correct answer: 3. Bradykinin

Explanation: Although both histamine as well as bradykinin can cause edema and increase in permeability, histamine is an amine, whereas bradykinin is a peptide. Refer KDT 6/e p490